"Lift off' and "Belly Press" tests are done to examine which of the following rotator cuff muscle?
1. Teres Minor
2. Supraspinatus
3. Subscapularis
4. Infraspinatus

Correct answer: 3. Subscapularis

Explanation: Ans. C. SubscapularisSubscapularis muscle is responsible for extremes of internal rotation, which can be tested with belly press and lift off test.